With which of the following of viral hepatitis infection in pregnancy, the material mortality is highest -
1. Hepatitis A
2. Hepatitis B
3. Hepatitis C
4. Hepatitis E

Correct answer: 4. Hepatitis E

Explanation: A unique feature of HEV is clinical severity and high case fatality rate of 20-40 percent in pregnant women, especially in last trimester. REF:ANANTHANARAYAN AND PANIKER'S TEXTBOOK OF MICROBIOLOGY 9TH EDITION PAGE NO:550